Contraindication to DPT is all except -
1. Local reaction to previous DPT
2. High fever after previous dose
3. Infantile spasms
4. Seizures after previous dose

Correct answer: 1. Local reaction to previous DPT

Explanation: Ans. is 'a' i.e., Local reaction to previous DPT